All are true statement about Campylobacter jejuni, except:
1. Human is the only reservoir
2. Can cause GB syndrome
3. Poultry is the source of infection
4. Common cause of campylobacteriosis

Correct answer: 1. Human is the only reservoir

Explanation: Ans. (a) Human is the only reservoir Campylobacter jejuni is part of normal intestinal flora of domestic animals and birds including poultry, cattle, sheep and swine. Human infection is acquired through raw or under cooked meat or other food products." Campylobacter jejuni is the most common cause of Campylobacter infection (campylobacteriosis). Campylobacter fetus infection is common in immunocompromised patients. Complications of Campvlobacter infection Generalised: Bacteremia - (Common with C. fetus) Local suppurative: Cholecystitis; pancreatitis, cystitis Distant: Meningitis, endocarditis, arthritis, peritonitis, cellulitis, septic abortion; hepatitis; interstitial nephritis. Immunologic: - Reactive arthritis - GB syndrome (specially after C. 019 subtype) - Immunoproliferative small intestinal disease (a chain disease) Infectious causes of GB syndrome Bacterial Viral Campylobacterjejuni CMV Mycoplasma pneumoniae Epstein-Barr virus